Anterior choroidal circulo-occlusion leads to
1. Hemianopia
2. Hemisensory loss
3. Hemiplegic
4. All of the above

Correct answer: 4. All of the above

Explanation: (D) All of the above > This artery arises from the internal carotid artery and supplies the posterior limb of the internal capsule and the white matter posterolateral to it, through which pass some of the geniculocalcarine fibers.> The complete syndrome of anterior choroidal artery occlusion consists of contralateral hemiplegia, hemiplegia, hemianesthesia (hypesthesia), and homonymous hemianopia.> However, because this territoryis also supplied by penetrating vessels of the proximal MCA and the posterior communicating and posterior choroidal arteries, minimal deficits may occur, and patients frequently recover substantially.> Anterior choroidal strokes are usually the result of in situ thrombosis of the vessel, and the vessel is particularly vulnerable to iatrogenic occlusion during surgical clipping of aneurysms arising from the internal carotid artery